Which of the following is not complication of Enteral feeding?
1. Diarrhoea
2. Constipation
3. Hypoglycemia
4. Aspiration Pneumonia

Correct answer: 3. Hypoglycemia

Explanation: Hypoglycemia does not occur due to enteral feeding.